Group B fibers are:
1. Sympathetic preganglionic
2. Sympathetic postganglionic
3. Parasympathetic postganglionic
4. All

Correct answer: 1. Sympathetic preganglionic

Explanation: Group B fibers are preganglionic fibers .. They are myelinated Ref:Guyton and Hall textbook of medical physiology 12th edition,page number: 73